False about gallstone ileus
1. 90% patients give history of biliary disease
2. Causes 1% of all SBO ; around 25% cases in >70 years
3. Tumbling obstruction
4. Fistula is mostly formed between duodenum and gallbladder

Correct answer: 1. 90% patients give history of biliary disease

Explanation: Option B: Rigler's triad - Classic plain abdominal film of triad of small bowel obstruction, pneumobilia & ectopic gallstone Option C: pain may be episodic and recurrent as the impacted stone temporarily obstructs the bowel lumen and then dislodges and moves distally, known as tumbling obstruction Option D: most common site of biliary enteric fistula is gallbladder and duodenum So opting for option A. Ref: Sabiston 20th edition Pgno : 1506-1507